A secretary comes in to your office complaining of pain in her wrists from typing all day. You determine that she likely has carpal tunnel syndrome. Which of the following conditions would help you determine the diagnosis
1. Inability to adduct the little finger
2. Inability to flex the DIP joint of the ring finger
3. Loss of thumb opposition
4. Loss of skin sensation of the medial one and one-half fingers

Correct answer: 3. Loss of thumb opposition

Explanation: Carpal tunnel syndrome results from injury to the median nerve, which supplies the thenar muscles. Paralysis of muscles lead to loss thumb opposition and ape thumb deformity.Option 1: Inability to adduct the little finger, occurs due to ulnar nerve injury, leading to paralysis of palmar interossei for finger adduction.Option 2: Inability to flex the DIP joint of the ring finger, occurs due to ulnar nerve injury, leading to paralysis of medial half of flexor digitorum profundus for finger flexion at DIP.Option 3: Injury of median nerve leads to paralysis of thenar muscles like abductor pollicis brevis, leads to loss of anterior abduction of thumb, which is an essential component of thumb opposition.Option 4: Loss of skin sensation of the medial one and one-half fingers, results from ulnar nerve injury.